Causative organism of acute salpingitis silently :
1. Streptococcus
2. Neisseria
3. Chlamydia
4. Ureaplasma

Correct answer: 3. Chlamydia

Explanation: chlamydia remains silently without any symptoms or with minimal symptoms in endocervix for a long time before noticed and hence damge with more when compared to gonoccocal infection Reference: Shaw's textbook of Gynaecology 16th edition page no 177